Which of the following is not a drawback of hybrid ionomer cements?
1. Hybrid ionomers are not as biocompatible as conventional glass ionomers
2. Can cause contact dermatitis in dental personnel
3. Can cause pulpal inflammation in patient due to release of HEMA
4. None of the above

Correct answer: 4. None of the above

Explanation: A few reports of adverse effects have been attributed to hybrid ionomers, which release HEMA, a monomer that can cause  pulpal  inflammation and allergic contact dermatitis. Therefore, hybrid ionomers are not as biocompatible as conventional glass ionomers. Dental personnel may be at risk from adverse effects such as contact dermatitis and other immunological responses. The temperature increase associated with the polymerization process can also be considered as a drawback of hybrid ionomer cements.
Ref: Phillip’s Science of Dental Materials ed 12 pg 327